Chesser Moir technique is used in :
1. VVF
2. Stress incontinence
3. Urethrocoete
4. Enterocoele

Correct answer: 1. VVF

Explanation: VVF Chassar Moir technique is used for repair of vesico vaginal fistula. Few named surgical procedures In Few named surgical procedures In Procedure Indication Marshall -- Marchetti Krant surgery Marshall and Bonneys test Boari operation Manchester operation Fothergill operation Strassmam Metroplasty Jones Metroplasty Thompkins Metroplasty Mc Indoe technique Stress incontinence Stress incontinence Uretric transition, Bladder flap procedure Prolapse uterus Prolapse uterus Bicornuate uterus Septate uterus Septate uterus